Renshaw cells are inhibitory interneurons found in?
1. Gray matter of brain
2. White matter of brain
3. Gray matter of the spinal cord
4. White matter of spinal cord

Correct answer: 3. Gray matter of the spinal cord

Explanation: ANSWER: (C) Gray matter of the spinal cordREF: Neurobiology: molecules, cells, and systems By Gary G. Matthew, Page 176-177 "Renshaw cells of grey matter of spinal cord produces self-inhibition of motor neurons.The axons of motor neurons send branches that make excitatory synaptic connection onto Renshaw cells. The Renshaw cells in turn make inhibitory synaptic connections back onto the same motor neuron"